Ramavati a 40 years old female presented with a progressively increasing lump in the parotid region. On oral examinations, the tonsil was pushed medially. Biopsy showed it to be pleomorphic adenoma. The appropriate tratment is ?
1. Superficial parotidectomy
2. Lumpectomy
3. Conservative total parotidectomy
4. Enucleation

Correct answer: 3. Conservative total parotidectomy

Explanation: Ans. is 'c' ie. Conservative total parotidectomy In this pt. deep lobe of parotid is involved (as suggested by medial displacement of the tonsil) so total parotidectomy is done conserving the facial nerve. Schwartz writes- "Benign tumors of the superficial lobe of parotid should be removed with a clear margin by superficial lobectomy. If the deep lobe is involved, total parotidectomy may be required even for benign disease."